Cocaine overdose presents with all of the following except :
1. Diaphoresis
2. Hypertension
3. Constricted pupils
4. Agitation

Correct answer: 3. Constricted pupils